Isoniazide is metabolized by ?
1. Acetylation
2. Oxidation
3. Reduction
4. Hydrolysis

Correct answer: 1. Acetylation

Explanation: Ans. is 'a' i.e., Acetylation Isoniazid is extensively metabolized in liver most important pathway being N - acetylation by NAT The acetylated metabolite is excreted in urine. Drugs metabolized by acetylation Sulfonamides (including dapson) Procainamide PAS INH Hydralazine